After undergoing surgery, for Carcinoma of colon a patient developed single liver metastatic of 2cm. What you do next :
1. Resection
2. Chemo radiation
3. Acetic acid injection
4. Radio frequency ablation

Correct answer: 1. Resection

Explanation: Answer is A (Resection) Patients of colon cancer, with solitary hepatic metastasis without clinical or radiographic evidence of additional tumor involvement should be considered for partial liver resection, because such procedures are associated with 5-year survival rates of 25-30% when performed on selected individuals by experienced surgeons. Resection of isolated (One to three) liver or lung metastasis result in long term survival (over 5 years in 20% - 40% of cases) - CMDT 2002/665